Which of the following agents is not used in the treatment of Diabetic Macular Edema Retinopathy-
1. Ruboxistaurim
2. Pyridazinones
3. Benfotiamine
4. Tamoxifen

Correct answer: 4. Tamoxifen

Explanation: Antivascular endothelial growth factor (anti-VEGF) Vascular endothelial growth factor (VEGF) plays a pivotal role in the etiopathogenesis of diabetic maculopathy and retinopathy. Anti-VEGFs when given intravitrealy in 0.1 ml vehicle lead to improvement in vision in > 40% cases and stabilise vision in another >40% cases. They include : Ranibizumab (Lucentis) Pegaptanib ( Macugen) Bevacizumab (Avastin) Ref; A.K.Khurana; 6th edition; Page no: 281,459